Carcinoid of lung (bronchial adenoma) arise from
1. Ciliated cell
2. Kulchitsky cell
3. Type 2 pnemocytes
4. Clara cell

Correct answer: 2. Kulchitsky cell

Explanation: Ans. (b) Kulchitsky cell(Ref: Robbins 9th/pg 719)Enterochromaffin (EC) cells, or "Kulchitsky cells"; are a type of enteroendocrine and neuroendocrine cell occurring in the epithelia lining the lumen of the digestive tract and the respiratory tract that release serotonin.Tumors from these cells results in carcinoid.